The protein that anchors both actin and titin at Z lines is?
1. Myomesin
2. Nebulin
3. a-actinin
4. Myosin

Correct answer: 3. a-actinin

Explanation: Ans. (c) a-actinin(Ref: Gautel et al. Journal of Experimental Biology (2016) 219, 135-145)a-Actinin anchors both titin and actin filaments at Z linesMyomesin and obscurin are the myosin cross linking protein that attaches myosin at M lineNebulin is an acting binding protein that regulates the length of thin filaments